A 3 year old child with normal developmental milestones except delayed language development (poor speech development). He has difficulty in concentration, communication, and making friends (i.e. he has no friends) and spends time seeing his own hands. The most probable diagnosis is:
1. Autism
2. ADHD
3. Specific learning disability
4. Intellectual disability

Correct answer: 1. Autism

Explanation: A i.e. Autism